Delirium is differentiated from dementia by:
1. Ataxia
2. Apraxia
3. Alexia
4. Altered sensorium

Correct answer: 4. Altered sensorium

Explanation: Altered sensorium